The diagnosis of a child with small abrasion over face developing fever with chills,induration and fiery red swelling over the face to extending to the ear?
1. Erysipalas
2. Carbuncle
3. Cellulitis
4. Anthrax

Correct answer: 1. Erysipalas

Explanation: - Erysipelas is a bacterial infection of skin involving upper subcutaneous tissue with marked dermal lymphatic vessel involvement. - Causative organisms are group A streptococcus and staphylococcus aureus. - Characterised by an erythematous, edematous and painful indurated plaque with sharply demarcated borders. - Face, ear and lower limbs are involved. - Patient May present with history of minor trauma and is associated fever and malaise. FIGURE : Butterfly rash of erysipelas. The sharp demarcation between the salmon-red erythema and the normal surrounding skin is evident. Reference : IADVL's concise textbook of dermatology, first edition, pg no:43